True statement about ductus arteriosus is:
1. It undergoes anatomic closure within 24 hours of birth
2. It connects aorta with pulmonary vein
3. It is induced to close by high levels of prostaglandins
4. May cause a machinery murmur by its patency

Correct answer: 4. May cause a machinery murmur by its patency

Explanation: IMPORTANT POINTS ABOUT DUCTUS ARTERIOSUS: - Physiological closure: occurs almost immediately after birth by contraction of muscular wall - Anatomic closure: occurs by proliferation of intima in 10-21 days after birth - After obliteration, it forms ligamentum arteriosum. - Murmur due to PDA - Continuous machinery murmur. - Ductus arteriosus is kept open with the help of prostaglandins in ductus dependent conditions Note : Prostaglandin inhibitors are used to close the ductus arteriosus. Intravenous (IV) indomethacin or ibuprofen is used to treat patent ductus arteriosus (PDA) in premature infants.